Type of necrosis seen in Neervous tissue
1. Coagulative
2. Caseeous
3. Fibrinoid
4. Liquefactive

Correct answer: 4. Liquefactive

Explanation: Different type of necrosis